A boy is brought to the emergency department with chief complaints of fever, throat pain and difficulty breathing. Examination of his throat shows the following finding with cervical adenopathy. Several days after being admitted in the hospital, the patient dies of heart failure. HPE demonstrates the following finding. Which other organism produces a toxin which functions in a similar manner as toxin produced by above mentioned organism?
1. Heat labile enterotoxin produced by E. coli
2. Cholera toxin
3. Pseudomonas exotoxins
4. Verocytotoxin produced by E. coli

Correct answer: 3. Pseudomonas exotoxins

Explanation: The patient is suffering from diphtheria. Examination of his throat shows extensive, coalescing gray pharyngeal exudates - pseudomembrane. The toxin produced by C. Diphtheria acts by inhibition of elongation factor - 2. It can cause MYOCARDITIS, which is observed in the histopathological slide. Other toxin which acts by similar mechanism is pseudomonas exotoxins. Heat labile E. coli toxin and cholera toxins act by activating adenylate cyclase enzyme. Verocytotoxin produced by E. coli acts by inhibiting protein synthesis by binding to 28S subunit of 60S ribosomes.